Miosis is a component of -
1. Horners syndrome
2. Mendelsons syndrome
3. Turners syndrome
4. Kleinfelters syndrome

Correct answer: 1. Horners syndrome

Explanation: Ans. is 'a' i.e., Horners syndrome Conditions associated with miosisA) Diseases* Homer's syndrome* Hemorrhage into pons (intracranial hemorrhage)* Hereditary disorders* Cluster Headaches with ptosis* Iridocyclitis* Fatal familial insomniaB) Drugs* Opioids such as fentanyl, morphine, heroin and methadone (the notable exception being demerol/pethidine)* Products containing nicotine such as cigarettes, chewing tobacco or gum.* Imidazolines such as clonidine, naphazoline, oxymetazoline and tetrahydrozoline* Antipsychotics, including risperdal, haloperidol, thorazine, olanzapine, quetiapine and others* Cholinergic agents such as acetylcholine* Ondansetron (an anti-emetic) known by its brand name Zofran* Some cancer chemotherapy drugs, including camptothecin derivatives* Mirtazapine, a noradrenergic and specific serotonergic antidepressant (NaSSA)* Some MAO Inhibitors.* Pilocarpine eye drops and all other parasympathomimetics* In some rare cases, when exposed to mustard gas.* Organophosphates